All of the following are primarily restrictive operation for morbid obesity, Except
1. Vertical band gastroplasty
2. Switch duodenal operation
3. Rouxen Y operation
4. Laparoscopic adjustable gastric banding

Correct answer: 2. Switch duodenal operation

Explanation: Treatment for Obesity * Dieting. * Exercise. * Vertical banded gastroplasty.(purely restrictive type, with creation of a calibrated stoma in the lesser curvature ) * Gastric bypass. * Laparoscopic gastroplasty or gastric bypass.(to create a narrow stoma just below the OG junction, contraindicated in hiatal and paraesophageal hernias.) *roux-en-Y gastric bypass(done by open or laparoscopic method)proximal stomach is dissected between 1 st and 2 nd branches of left gastric branches.) * Jaw wiring. * Biliopancreatic diversion. * Jejuno-ileal bypass. Ref: SRB's manual of surgery,5 th ed, pg no 106